Which drug doesn't cause thyroid dysfunction?
1. Amiodarone
2. Lithium
3. Cholestyramine
4. Paracetamol

Correct answer: 4. Paracetamol

Explanation: ANSWER: (D) ParacetamolREF: Goodman and Gillmans 11th edition, page 1000, CURRENT Medical Diagnosis and treatment Chapter 26. Endocrine DisordersIndirect repeat from December 2009ANTITHYROID COMPOUNDSProcess AffectedExamples of InhibitorsActive transport of iodide Complex anionsPerchlorate,Ffluoborate, Pertechnetate, ThiocyanateIodination of thyroglobulin ThionamidesPropylthiouracil, Methimazole, Carbimazole Thiocyanate; iodide, Aniline derivatives; sulfonamidesCoupling reactionThionamides; sulfonamidesHormone releaseLithium salts, iodide, Iodotyrosineiodothyronine deiodinationNitrotyrosinesPeripheral deiodinationThiouracil derivatives; AmiodaroneOral cholecystographic agentsHormone actionThyroxine analogs; AmiodaroneHormone excretion inactivationInducers of hepatic drug-metabolizing enzymes:phenobarbital, rifampin, carbamazepine, phenytoinBinding in gutCholestyramine